Which among the following is the common presentation of Wilms tumour?
1. Haematuria
2. Mass in abdomen
3. Pain
4. Fever

Correct answer: 2. Mass in abdomen

Explanation: Most children with Wilms tumor present with increasing size of the abdomen or an asymptomatic abdominal mass (83%) incidentally discovered by a parent and/or health care provider. Other clinical features, Fever (23%) Hematuria (21%) Hypertension (25%) Genitourinary malformations (6%) Aniridia Hemihypertrophy Ref: Graham D.K., Quinones R.R., Keating A.K., Maloney K., Foreman N.K., Giller R.H., Greffe B.S. (2012). Chapter 31. Neoplastic Disease. In W.W. Hay, Jr., M.J. Levin, R.R. Deterding, J.J. Ross, J.M. Sondheimer (Eds), CURRENT Diagnosis & Treatment: Pediatrics, 21e.